Preanaesthetic medication is used for all except
1. Decrease anaesthetic doe
2. Decrease blood pressure
3. Prevents aspiration
4. Produces amnesia for perioperative events

Correct answer: 2. Decrease blood pressure

Explanation: Complications of Anaesthesia During anaesthesia: > Respiratory depression - Salivation, respiratory secretions > Cardiac arrhythmias > Fall in BP > Delirium and convulsion > Fire and explosion After anesthesia: Nausea and vomiting > Nerve palsies > Emergence delirium > Cognitive defects